Both hyperplasia and hypertrophy is found in
1. Uterus during pregnancy
2. Cardiac muscle in cardiomegaly
3. Skeletal muscle in athlete
4. Breast development in puberty

Correct answer: 1. Uterus during pregnancy

Explanation: * Uterus during pregnancy undergoes physiological hypertrophy and hyperplasia under hormonal stimuli * Cardiac muscle in cardiomegaly and Skeletal muscle in adults undergoes physiological hypertrophy Striated muscle cells in both heart and skeletal muscle can only undergo hypertrophy because adult muscle cells have a limited capacity to divide. Hence they are called stable cells * Breast development in puberty is a physiological hormonal hyperplasia Refer robbins 9/e p3